Which is pleuripotent stem cell ?
1. Embryonic stem cell
2. Tissue stem cell
3. Adult stem cell
4. Hematopoietic stem cell

Correct answer: 1. Embryonic stem cell

Explanation: Answer- A. Embryonic stem cellStem cellsEmbryonic stem cells : These are pleuripotent cellsAdutt stem cells